A 38 year old G3 P2 Presents with 10 weeks of amenorrhea, Her serum β - hcG level is 25,000 mIU / mL, and her internal cervical os is closed. On USG, anechoic intrauterine area measures 40mm and adnexa are normal Diagnosis
1. Missed abortion
2. Complete abortion
3. Threatened abortion
4. Complete Hydatidiform mole

Correct answer: 1. Missed abortion

Explanation: If crown Rump length is > 6 mm - Missed abortion
No embryonic cardiac activity - Missed abortion
Mean gestational sac diameter > 20 mm - Missed abortion.